All of the following are raised in PCOS except
1. E2 :E1
2. LH :FSH
3. LDL :HDL
4. Fasting serum insulin

Correct answer: 1. E2 :E1

Explanation: Ans. is a, i.e. E2 :E1 Ref: Shaw gynae 15th/ed, p370 Table 38.1In PCOS:* E1 :E2 Ratio is increased not E2 :E1 * LDL:HDL Ratio is increased* LH:FSH Ratio is increased* Fasting insulin levels were raised* Fasting glucose/insulin ratio is decreased <4.5